Passavant's ridge is formed by-
1. Cricopharyngeus and superior constrictor
2. Palatopharyngeus and superior constrictor
3. Palatoglossus and superior constrictor
4. Thyropharyngeus and superior constrictor

Correct answer: 2. Palatopharyngeus and superior constrictor

Explanation: Ans. is 'b' i.e., Palatopharyngeus and superior constrictor Passavant's Ridgeo Some of the upper fibres of the palatopharyngeus pass circularly deep to the mucous membrane of the pharynx, and form a sphincter internal to the superior constrictor. These fibres constitute Passavant's muscle which on contraction raises a ridge called the Passavant's ridge on the posterior wall of the nasopharynx.